A 20 year young man presents with exertional dyspnoea, headache, and giddiness. On examination, there is hypertension and LVH. X-ray chest shows notching of the anterior ends of the ribs. Which of the represent the most likely diagnosis?
1. Pheochromocytoma
2. Carcinoid syndrome
3. Coarctation of the aorta
4. Superior Mediastinal syndrome

Correct answer: 3. Coarctation of the aorta

Explanation: Patient is showing features of coarctation of aorta. Most common site of coarctation is distal to the origin of the subclavian artery near the insertion of ligamentum arteriosum. Children or adult presents with headache, epistaxis, cold extremities and claudication with exercise.On physical examination: a heart murmur, hypertension in the upper extremities and absence, marked diminution or delayed pulsations in the femoral arteries. ECG shows LV hypertrophy and Chest X Ray shows notching of the third to ninth ribs. Ref: Harrisons Internal Medicine, 18th Edition, Chapter 343, Page 1925